Local anaesthetics act on
1. Inactivated voltage gated sodium channels
2. Inactivated ligand gated potassium channels
3. Resting ligand gated potassium channels
4. Resting voltage gated sodium channels

Correct answer: 1. Inactivated voltage gated sodium channels

Explanation: Local anaesthetics act on open state > inactivated state > resting state, votage gated sodium channels.